Confirmatory diagnosis of rabies on postmortem:
1. Negri bodies in saliva
2. Negri bodies in corneal scrapings
3. Anti-rabies antibodies in blood
4. Negri bodies in brain

Correct answer: 4. Negri bodies in brain

Explanation: Ans. Negri bodies in brain